Cardiomegaly is seen in -
1. Multivalvular disease
2. Anemia
3. Pericardial effusion
4. All

Correct answer: 4. All

Explanation: Ans. is 'a' i.e., Multivavular disease, 'b' i.e., Anemia, 'c' i.e., Pericardial effusion Causes of Cardiomegaly Myocardial disease o Endocardial fibroelastosis o Glycogen storage disease o Myocarditis (viral or idiopathic) Coronary artery diseases resulting in myocardial insufficiency o Anomalous origin of the left coronary artery from the pulmonary artery o Collagen disease (periaarteritis nodosa) o Kawasaki disease Congenital heart defect with severe heart failure Miscellaneous conditions o Congestive heart failure (CHF) secondary to respiraoty disease (upper airway obstruction, bronchopulmonary dysplasia) Supraventricular tachycardia with CHF o Pericardial effusion o Tumors of the heart o Severe anemia o Endocrine disorders (thyrotoxicosis, pheochromocytoma) o Malnutrition (beriberi, kwashiorkor, carnitine deficiency) Sensitivity/toxic reactions (sulmonamides, doxorubicin) o Muscular dystrophies Familial dilated cardiomyopathies